Potent vaccine is available for -
1. Hepatitis C
2. Hepatitis A
3. Hepatitis D
4. Hepatitis E

Correct answer: 2. Hepatitis A

Explanation: A safe and effective formalin inactivated alum conjugated vaccine available for HAV . Which is lasts for10-20 yr REF:ANANTHANARYANAN TEXT BOOK OF MICROBIOLOGY 9EDITION PGNO.542